Dysphoria caused by opiates is mediated by which receptor?
1. mu
2. kappa
3. delta
4. sigma

Correct answer: 2. kappa

Explanation: Ans. b. kappa (Ref: KDT 7/e p478-80, 6/e p462)Dysphoria caused by opiates is mediated by kappa receptor.Actions ascribed to Opioid Receptorsm (mu) k (kappa)d (delta)* Physical dependence (morphine type)* Miosis* Constipation (m2)* Analgesia (supraspinalm 1 + spinal m2)* Respiratory depression (m2)* Euphoria* Sedation* (PM CARES)* Dysphoria, pscychomimetic* Miosis (lower ceiling)* Analgesia (Spinal k1 , supraspinal k3)* Respiratory depression (lower ceiling)* Diuresis* Sedation* Physical dependence (nalorphine type)* Reduced Gl motility* (DMARDS)* Analgesia (Spinal + affective component of supraspinal)* Respiratory depression* Affective behavior* Reinforcing actions* Reduced Gl motility